Remnant of notochord is
1. Annulus fibrosus
2. Nucleus pulposus
3. Ligament flavum
4. Intertransverse ligament

Correct answer: 2. Nucleus pulposus

Explanation: HUMAN EMBRYOLOGY-INDERBIR SINGH TENTH EDITION-PAGE NO:60Arts the embryo enlarges, the notochord elongates considerably and lies in the Midline, in the position to be later occupied by the vertebral column. However, the notochord doesn't give rise to the vertebral column. Most if it disappears, but parts of it persist in the region of each intervertebral disc as the nucleus purposes.